Hanging drop sign in x-ray is seen in -
1. Orbital floor fracture
2. Medial wall fracture
3. Lateral wall fracture
4. Superior margin fracture

Correct answer: 1. Orbital floor fracture

Explanation: Ans: a (Orbital floor fracture) Ref: AK Khurana, 4th ed, p. 398Hanging drop sign in roentgenogram is seen in orbital floor fracture.Orbital floor fractureThe most useful projection for detecting orbital floor fracture is waters view:Findings in x-ray include:Fragmentation and irregularity of orbital floorDepression of bony fragments"Hanging drop" opacity in the superior maxillary antrum. It is due to the herniation of orbital contents through the floor.